"Blueberry muffin lesion" are seen in
1. Pheocbromocytoma
2. Adrenal incidentaloma
3. Neurobiostoma
4. Medullary thyroid cancer

Correct answer: 3. Neurobiostoma